Fixed drug eruptions can be seen more frequently with
1. Penicillin
2. Sulfonamide
3. Cetrizine
4. Roxithromycin

Correct answer: 2. Sulfonamide

Explanation: Fixed drug eruption It characteristically recur at the same site following administration of offending drugs or occasionally a member of the same group of drugs. They occur 30min to 8hrs after drug administration Most common drugs: Sulfonamides NSAIDS Dapsone Batbiturates Ciprofloxacin Phenytoin Griseofulvin Metronidazole Antituberculous drugs IADVL Textbook of dermatology page 1668